Which of the following medications is contraindicated in patients with allergy to sulfonamides?
1. Levobunolol
2. Bimatoprost
3. Brinzolamide
4. Brimonidine

Correct answer: 3. Brinzolamide

Explanation: Brinzolamide ophthalmic (eye) drops is used to treat increased pressure in the eye caused by open-angle glaucoma or a condition called ocular hypertension. The presence of other medical problems may affect the use of this medicine. Allergy to sulfa drugs--Use with caution. May increase risk for more serious side effects. Cornea (part of the eye) problems, history of or Eye infection or Eye surgery, recent--Use with caution. May make these conditions worse. Kidney disease, severe--Should not be used in patients with this condition. REFERENCE: www.mayoclinic.org